Most potential route for transmission of Meningitis from CNS to Inner ear is -
1. Cochlear Aqueduct
2. Endolymphatic sac
3. Vestibular Aqueduct
4. Hyrtle fissure

Correct answer: 1. Cochlear Aqueduct

Explanation: Cochler aqueduct is a bony canal that connects the cochlea to the intracranial subrachnoid space. Perilymph within the cochlear aqueduct is in direct continuation with the CSF and hence Cochlear Aqueduct is the most important route for meningitis to spread to the inner ear.